Which of the following is a non-reducing sugar ?
1. Glucose
2. Lactose
3. Maltose
4. Sucrose

Correct answer: 4. Sucrose

Explanation: Ans. is 'd i.e., Sucrose